All of the following cross plasma membrane except
1. Epinephrine
2. Thyroxine
3. Androstenedione
4. Estrogen

Correct answer: 1. Epinephrine

Explanation: Ref-KDT 6/e p48 Following drug cross plasma membrane Thyroxine Androstenedione Estrogen